Dohlman's procedure is used in
1. Rectal prolapsed
2. Esophageal achalasia
3. CA oesophagus
4. Zenker's diverticulum

Correct answer: 4. Zenker's diverticulum

Explanation: Zenker's diverticulum is a protrusion of mucosa through killian's dehiscence, a weak area of the posterior pharyngeal wall between thyropharyngeus (oblique fibres) and cricopharyngeus (transverse fibres ) of the inferior constrictor muscle of the pharynx. It is a pulsion diverticulum. Dohlman's approach is minially invasive endoscopic technique wherein pouch is excised using double lipped endoscopy. Cautery or laser is used. It is a quicker procedure with shorter duration of anaesthesia and faster recovery. Reference : page 433-34 SRB's manual of surgery 5th edition